The vasodilatation produced by carbon dioxide is maximum in:
1. Kidney
2. Brain
3. Liver
4. Heart

Correct answer: 2. Brain

Explanation: Inhalation of 7% CO2 increases cerebral blood twofold. Cerebral blood vessels are very sensitive to CO2 tension. Hepatic arterial system is sensitive to adenosine; it brings about vasodilatation. Adenosine is the most important vasodilator of coronary vessels. CO2, H+, K+, hypoxia also cause reactive hyperemia. NO, an endothelium-derived relaxing factor is an important vasodilator of renal arterioles.